Pseudomembranous colitis, all are true except:
1. Toxin A is responsible for clinical manifestation
2. Toxin B is responsible for clinical manifestation
3. Blood in stools is a common feature
4. Summit lesions is early histopathological finding

Correct answer: 3. Blood in stools is a common feature

Explanation: Ans. is 'c' i.e., Blood in stools is a common feature.Ref: Topley's, 10th/e, p. 1120-1121"Frank blood in stool is not common.")ABOUT OTHER OPTIONSOption (a) and option (b)* Toxin A and B both are responsible for clinical manifestation."Once C. difficile is established in the bowel, disease is a consequence of the production of two large protein toxins, Toxin A and B."* Toxin A has both histotoxic and enterotoxic activity and is of major importance in causation of tissue damage and luminal fluid accumulation.* Toxin B may independently cause tissue damage.Option (d)"In the earliest stage of disease 'summit-lesions', tiny superficial intercryptal erosions, may be found."